Key enzy me of gluconeogenesis are all except -
1. Pyruvate carboxylase
2. PEP carboxykinase
3. Pyruvate kinase
4. Glucose-6-phosphatase

Correct answer: 3. Pyruvate kinase

Explanation: Ans is 'c' i.e., Pyruvate kinase Reactions of gluconeogenesiso Gluconeogenesis involves glycolysis, the citric acid cycle plus some special reactions. Glycolysis and gluconeogenesis share the same pathway but in opposite direction. Seven reactions of glycolysis are reversible and therefore are used with the same enzyme in the synthesis of glucose by gluconeogenesis. However, three of the reactions of glycolysis are irreversible and must be circumvented by four special reactions which are unique to gluconeogenesis and catalyzed by (1) Pyruvate carboxylase Q, (ii) Phosphoenolpyruvate carboxykinase, (iii) Fructose-1,6- bisphosphatase Q, (iv) Glucose-6-phosphatase. These four enzymes are the key enzymes of gluconeogenesis (or gluconeogenesis enzymes). Among these four, pyruvate carboxylase is a mitochondrial enzyme and other three are cytoplasmic enzymes.o All three irreversible steps of glycolysis should be bypassed for gluconeogenesis to occur. These three bypass steps are circumvented by four special reactions.First bypass (conversion of pyruvate into phosphoenolpyruvate): - Conversion of pyruvate into phosphoenolpyruvate takes place through two reactions.Carboxylation of pyruvate: - First, pyruvate enters the mitochondria and is converted into oxaloacetate by pyruvate carboxylase. Pyruvate carboxylase is a mitochondrial enzyme, therefore these reactions occur in mitochondria only.Conversion of oxaloacetate to phosphoenolpyruvate: - Oxaloacetate produced in the mitochondria cannot cross the membrane. It is first reduced to malate, which then moves across the mitochondrial membrane into the cytosol. Malate is, then, reoxidized to oxaloacetate in the cytosol. Oxaloacetate is converted to phosphoenolpyruvate by phosphoenolpyruvate (PEP) carboxykinase.Second bypass : - Conversion of fructose-1,6-bisphosphate into fructose-6-phosphate is catalyzed by fructose- 1,6-bisphosphatase. Its presence determines whether a tissue is capable of synthesizing glucose (gluconeogenesis) or glycogen (gluconeogenesis) not only from pyruvate but also from triose phosphate. It is present in liver, kidney, and skeletal muscle, but is probably absent from heart and smooth muscle.C) Third bypass : - Conversion of glucose-6-phosphate to glucose is catalyzed by glucose-6-phosphatase.